Chorionic villous sampling done before 10 weeks may result in:
1. Fetal loss
2. Fetomaternal hemorrhage
3. Oromandibular limb defects
4. Sufficient material not obtained

Correct answer: 3. Oromandibular limb defects

Explanation: Ans. is c, i.e. Oromandibular limb defectsRef. Williams Obs. 21/e, p 990; 22/e, p 330, 23/e, p 300"Chorionic villous sampling is usually performed at 10-13 weeks and is associated with several complications but studies suggests that limb reduction and oromandibular limb hypo genesis is more common, if CVS is done before 9 weeks. So, CVS is done after 9 weeks because it is more safe." --Williams Obs. 21/e, p 990"The frequency of oromandibular limb hypogenesis, however was increased after CVS, when the procedure was performed before 9 weeks." --Williams Obs. 22/e, p 330"It was shown that limb reduction defects were associated with CVS performed earlier in gestation--typically around 7 weeks." --Williams 23/e, p 300